X-ray films are least sensitive to which coloured light:
1. Violet
2. Blue
3. Yellow
4. Red

Correct answer: 4. Red

Explanation: Ans. Red